Brucella is transmitted by all except -
1. Aerosol transmission
2. Ingestion of raw milk
3. Man to man
4. Contact with aborted fetuses

Correct answer: 3. Man to man

Explanation: Ans. is 'c' i.e. Man to man BrucellosisBrucellosis is one of the major zoonoses, and in humans is also k/a Undulant fever, Malta fever or Mediterranean fever.It is occasionally transmitted to man by direct or indirect contact with infected animals.There is no evidence of transmission from man to man.Agents - gram negative, non-motile, intracellular coccobacilli.Reservoir of infectionMain reservoirs of human infection are cattle, swine, horses and dogs.In animals brucella can cause abortion, premature expulsion of the fetus or deathBrucella is excreted in urine, milk, placenta and vaginal discharges.Thus brucellosis is predominantly a disease of farmers, shepherds, butchers and abattoir workers & veterinarians.Modes of transmissionContact infection (Most common)direct contact with infected tissues, blood, urine, vaginal discharge, aborted fetuses and especially placenta.Food borne infectioningestion of raw milk or dairy products from infected animalsfresh raw vegetables can also carry infection if grown on soil containing manure from infected farm.water contaminated with excreta of infected animals also serves as source of infection.Air-borne infectioninhalation of infected dust or aerosols in a cowshed, slaughter house or laboratoriesBrucellosis is notified as occupational disease.